Which of the following is most characteristic feature of antemortem hanging
1. La facie sympathetique
2. Cadaveric spasm
3. Glove and stocking pattern of postmortem lividity
4. Dribbling of saliva

Correct answer: 4. Dribbling of saliva

Explanation: Refer the Byte "Hanging and Strangulation".